The dose of a drug required to produce a specified effect in 50% of the population is
1. Ld50
2. Td50
3. Md50
4. Ed50

Correct answer: 4. Ed50